Choose the drug whose single oral dose affords clinical cure of uncomplicated malaria caused by chloroquine sensitive/resistant P. falciparum as well as P. vivax:
1. Quinine
2. Mefloquine
3. Artesunate
4. Proguanil

Correct answer: 2. Mefloquine

Explanation: Mefloquine is effective as a single dose treatment of malaria. It can be used for both chloroquine sensitive as well resistant bacteria.
Mefloquine  is an effective single agent for prophylaxis and  treatment of infections caused by multidrug-resistant forms of P. falciparum. 
Mefloquine 250 mg started 1- 2 weeks before and taken weekly till 4 weeks after return from endemic area, has been used for areas where CQ-resistant Plasmodium falciparum is prevalent. In India, use of mefloquine for prophylaxis is not allowed among residents, but may be used by travellers for long  term (6 weeks to 1 year) prophylaxis. If tolerated, mefloquine is a prophylactic with proven efficacy but should not be used in subjects with history of neuropsychiatric illness, convulsions  or  heart disease and for mefloquine-resistant Pf areas (Myanmar, Thailand, Cambodia).​
Reference: Lippincott Illustrated Reviews: Pharmacology Wolters Kluwer Sixth Edition page no 553, Essentials of Medical Pharmacology Eighth Edition KD  TRIPATHI  page no 875​